Vidian neurectomy is done in -
1. Vasomotor rhinitis
2. Allergic rhinitis
3. Infective rhinitis
4. Rhinitis sicca

Correct answer: 1. Vasomotor rhinitis

Explanation: (A) (Vasomotor rhinitis) (183- Dhingra 5th)* Vidian neurectomy (sectioning the parasympathetic secretomotor fibre to nose) is the treatment of choice for vasomotor rhinitis.* Vasomotor rhinitis is due to over activity of the parasympathetic system.* Alternating nasal obstruction, early morning rhinorrhea are its characteristic symptoms.* Precipitating factors include climate changes, exercise and emotional factors and endocrine changes.* Nasal mucosa appears normal but may be sometimes congested, Mulberry hypertrophy of the turbinate are seen in long standing cases.POINTS TO REMEMBER* Modified Young's operation* is the surgical of choice in Atrophic rhinitis (OZAENA).* Rhinitis sicca is a condition which occurs in drug and dusty atmosphere characterized by dirty black crust formation in the anterior aspect of nasal cavity.* Tuberculosis and leprosy of the nose commonly affects the cartilaginous part of nasal septum.* Lupus and Rhinoscleroma commonly affects the vestibule of the nose.* Stewart's granuloma is a rare form of nasal T-cell lymphoma.* Allergic rhiritis - is an IgE mediated type I hypersensitivity reaction of the nasal mucosa and antigenic substances (Allergen).(i) Pollen and house dusts are the common inhaled allergent (75%).(ii) Prick Test is the most popular, practical and safe test for nasal allergy screening sometimes nasal smear**(iii) Sodium chromoglycate prevents mast cell degranulation.* Mikulicz and Russel bodies are characteristic of Rhinoscleroma** caused by Klebsiella - rhinoscleromatis or Frisch bacillius** (Bacterial)* Rhinitis medimentosa is due to prolonged use of local nasal decongestants (more than a week)